Following gene when mutated, protects tumor cells from Apoptosis
1. BCL-2
2. BRCA
3. RB
4. TGF-b

Correct answer: 1. BCL-2

Explanation: Ans. (a) BCL-2(Ref: Robbins 9th/pg 594-595)BCL2 antagonizes apoptosis and promotes survival of follicular lymphoma cells.BCL stands for 'B Cell Lymphoma'